Fluoride inhibits?
1. Enolase
2. Aldolase
3. Aromatase
4. None of these

Correct answer: 1. Enolase

Explanation: Ans. (a) EnolaseRef: Harper 27/e, chapter 18, Textbook of practical physiology-2/e, G.K. and Pal, Pal, Pravati p-9, Manual of basic techniques for a health laboratory by Who p 69